Which of the following is associated with thiazide diuretics -
1. Hyperkalemic paralysis
2. Hypouricemia
3. Hypolipidemia
4. Impotence

Correct answer: 4. Impotence

Explanation: Ans. is `d' i.e., Impotence